JAK-2 mutation is strongly associated with?
1. Burkitt's lymphoma
2. Polycythemia vera
3. Multiple myeloma
4. Mantle cell lymphoma

Correct answer: 2. Polycythemia vera

Explanation: Ans. is 'b' i.e., Polycythemia vera * Janus kinase 2 (JAK2), a member of the Janus kinase family, is a non-receptor tyrosine kinase.* JAK2 fusions with the TEL(ETV6) (TEL-JAK2) and PCM 1 have found to be associated with leukemia, particularly clonal eosinophilia forms of the disease.* JAK-2 mutations are associated withi) Polycythemia vera,ii) Essential thrombocythemiaiii) Myelofibrosis (and other myeloproliferative disorders)iv) Abnormal heart defects